Commonest mass in the middle mediastinum is –
1. Lipoma
2. Aneurysm
3. Lymph node mass
4. Congenital cysts

Correct answer: 3. Lymph node mass

Explanation: "Lymphadenopathy is by for the most common middle mediastinal mass".
"The most common middle mediastinal mass is adenopathy".
"Lymphadenopathy is the most common middle mediastinum mass".                  

You should keep in mind that, though, the most common middle mediastinal mass is lymph nodes enlargement, duplication congenital cysts (Bronchogenic cysts, esophageal duplication cysts) are the most common middle mediastinal masses in children.

Most common anterior mediastinal mass                  →              Thymoma
Most common middle mediastinal mass                   →               Lymphadenopathy
Most common middle mediastinal mass in children   →               Congenital duplication cysts 
Most common posterior mediastinal mass                →               Neurogenic tumors 
Overall most common mediastinal mass                  →               Neurogenic tumors
  
Note - Neurogenic tumors constitute 20% and thymomas constitute 19% of all the mediastinal masses.